Fracture scaphoid is usually seen in
1. Elderly male
2. Elderly postmenopausal female
3. Young active adult
4. Children

Correct answer: 3. Young active adult

Explanation: Scaphoid fracture is more common in young adults. Its rare in children and in elderly people. Fracture occurs through the waist of scaphoid. Rarely, occurs through tuberosity. It may be either a crack or a displaced fracture. On examination tenderness on scaphoid fossa or anatomical snuff box. Complications: avascular necrosis, delayed and non-union, wrist osteoarthritis. Ref: Essential Orthopaedics, Maheswari & Mhaskar, 9th ed Page no: 115